All of the following are true about Clostridium perfringens, EXCEPT:
1. It is the commonest cause of gas gangrene
2. Serologic tests are not useful
3. The food poisoning spores of Clostridium perfringens are heat resistant
4. The major enzyme secreted is hyaluronidase

Correct answer: 4. The major enzyme secreted is hyaluronidase

Explanation: Clostridium perfringens causes approximately 80% of cases of gas gangrene. All types of C perfringens produce the alpha toxin, a necrotizing, hemolytic exotoxin that is a lecithinase. The spores of some C perfringens strains are often particularly heat-resistant and can withstand temperatures of 100degC for an hour or more. Smears of tissue and exudate samples show large gram-positive rods. C. perfringens colonies exhibit a double zone of hemolysis on blood agar. Egg yolk agar is used to demonstrate the presence of the lecithinase. Serologic tests are not useful. Ref: Brooks G.F. (2013). Chapter 21. Infections Caused by Anaerobic Bacteria. In G.F. Brooks (Ed), Jawetz, Melnick, & Adelberg's Medical Microbiology, 26e.